Which of the following is best suited to diagnose acute apical periodontitis
1. Percussion
2. Thermal tests
3. Electric pulp tests
4. Anaesthetic test

Correct answer: 1. Percussion